All of the following are true for mitral valve prolapse, EXCEPT:
1. Transmission may be as an autosomal dominant
2. Majority of the case present with features of mitral regurgitation
3. The value leaflets characteristically show myxomatous degeneration
4. The disease is one of the common cardiovascular manifestations of Marfan's Syndrome

Correct answer: 2. Majority of the case present with features of mitral regurgitation

Explanation: Most cases of MVP are asymptomatic and remain so for their entire lives, However MVP is one of the most common cause in patients presenting with isolated severe MR requiring surgical treatment. Though MR is common, they are definitly not the presenting feature in the majority of the patients. ALl other features mentioned above are associated with MVP. So "majority of the cases present with features of mitral regurgitation" is the single best answer of choice. Ref: Harrison's Principles of Internal Medicine, 16th Edition, Page 1395; R Alagappan, Manual of Practical Medicine, 3rd Edition, Pages 149, 150.